Musculotendinous cuff is formed by all the muscles except:
1. Supraspinatus
2. Teres major
3. Infraspinatus
4. Teres minor

Correct answer: 2. Teres major

Explanation: Ans. B. Teres majorThe rotator cuff is a group of muscles and their tendons that act to stabilize the shoulder. Of the seven scapulohumeral muscles, four make up the rotator cuff. The four muscles are the supraspinatus muscle, the infraspinatus muscle, teres minor muscle, and the subscapularis muscle